Stellate ganglion is located:-
1. Posterior to prevertebral fascia
2. Posterior to trachea
3. Anterior to transverse process of C6
4. Anterior to transverse process of C7

Correct answer: 4. Anterior to transverse process of C7

Explanation: Stellate ganglion: - It is basically inferior cervical ganglion fused with upper thoracic ganglion. Shape - star shaped Located at - Between cervico- thoracic (C7 - T1) vertebra - Related to neck of first rib. - Related to anterior tubercle on C7 vertebra. Applied aspect: - Stellate ganglion block - Required in case of - I. Raynaud's phenomenon II. Post herpetic pain III. phantom limb pain - Stellate ganglion is blocked bit higher than its location. Why not C6 - T1? Trachea - medial to stellate ganglion (begin C6) Cupula (apex) of lung - is very close to lung at cervico - thoracic region Vertebral artery - also passing from there. Blocking C6 T1 can lead to- I. Pneumothorax II. Bleeding d/t vertebral artery. - Therefore, to block stellate ganglion go a bit higher. Chassaignac's tubercle - anterior tubercle of C6 vertebra. - That is where stellate ganglion is blocked. Note - Don't go posterior to it because brachial plexus can get blocked. Relations: - Carotid sheath - stellate ganglion lies postero medial to carotid sheath Trachea - medial to stellate ganglion Pre vertebral fascia - posterior to stellate ganglion.